Laryngeal mask is contraindicated in all Except
1. Oral tumor
2. Ocular surgeries
3. Massive maxillofacial injury
4. High risk of aspiration

Correct answer: 2. Ocular surgeries

Explanation: (Refer: Morgan and Mikhail's Clinical Anaesthesiology, 5th edition, pg no. 317)